40 yr old woman presents to your clinic with complaints of headache and dizziness. She has an infection of a cranial dural sinus; one that lies in margin of the tentorium cerebelli and runs from the posterior end of cavernous sinus to transverse sinus is infected. Which of the following sinuses is affected by inflammation?
1. Superior petrosal sinuses
2. Inferior sagittal sinus
3. Sphenoparietal sinus
4. Straight sinuses

Correct answer: 1. Superior petrosal sinuses

Explanation: Superior petrosal sinus runs from cavernous sinus to transverse sinus along attached margin of the tentorium cerebelli. This patient has meningitis (inflammation of the meninges), which causes headache and dizziness. Straight sinus runs along line of attachment of falx cerebri to tentorium cerebelli. Inferior sagittal sinus lies in free edge of falx cerebri. Sphenoparietal sinus lies along posterior edge of lesser wing of sphenoid bone. Cavernous sinus lies on each side of the sella turcica and the body of sphenoid bone.